On 5th postoperative day after laparoscopic cholecystectomy, a 50 year old lady presented with right upper quadrant pain with fever and 12 cm subhepatic collection on CT and ERCP shows cystic duct leak. The best management is
1. Immediate laparotomy
2. Percutaneous drainage of fluid
3. Laparotomy and surgical exploration of bile duct and T-tube insertion
4. Laparoscopic cystic duct ligation and percutaneous drainage

Correct answer: 2. Percutaneous drainage of fluid

Explanation: Goals of therapy in Iatrogenic bile duct injury Control of infection limiting inflammation Parenteral antibiotics Percutaneous drainage of periportal fluid collection Clear and thorough delineation of entire biliary anatomy MRCP/PTC ERCP (especially if cystic duct stump leak suspected) Re-establishment of biliary enteric continuity Tension free, mucosa - to-mucosa anastomosis Longterm transanastomotic stents if involving bifurcation of higher Roux-en-Y hepaticojejunostomy Ref: Sabiston 20th edition Pgno :1503